All of the following are adverse effects of long-term corticosteroids EXCEPT
1. Hypoglycaemia
2. Psychosis
3. Peptic ulcers
4. Osteoporosis

Correct answer: 1. Hypoglycaemia